Initial resuscitation of a trauma patient is best done by administration of which of the following?
1. D5W
2. D5W and 0.45% normal saline
3. Ringer's lactate solution
4. 5% plasma protein solution

Correct answer: 3. Ringer's lactate solution

Explanation: - Initial resuscitation of a trauma patient is best done by administering Ringer's lactate, because it is isotonic, and it is similar to plasma in electrolyte composition. - There is no conclusive evidence that colloid solutions (albumin, plasma protein solution, or hydroxyethyl starch solution) improve the rate of resuscitation or eventual outcome. -D5W and 0.45% normal saline are hypotonic hence not used in this case. - Use of crystalloid solutions also aids in resuscitation of interstitial compartment